Up to 6 weeks of gestation erythropoiesis occurs in?
1. Yolk sac
2. Bone marrow
3. Spleen
4. Liver

Correct answer: 1. Yolk sac

Explanation: ANSWER: (A) Yolk sacREF: Guyton, 6th edition, page 420, Wintrobe s clinical hematology 12th ed page 90, William's hematology 8th ed chapter 6See details of fetal erythropoiesis in Physiology December 2011